Transfusing blood after prolonged storage could lead to:
1. Citrate intoxication
2. Potassium toxicity
3. Circulatory overload
4. Haemorrhagic diathesis

Correct answer: 2. Potassium toxicity

Explanation: Prolonged storage of blood can lead to hyperkalemia due to lysis of RBC. Citrate intoxication, circulatory overload & haemorrhagic diathesis results from massive blood trasfusion. Citrate intoxication - Hypocalcemia, manifested by circumoral numbness and/or tingling sensation of the fingers and toes. Circulatory overload - Transfusion-associated circulatory overload (TACO). Dyspnea, bilateral infiltrates on CXR with systolic hypertension and elevated levels of Brain natriuretic peptide (BNP). Haemorrhagic diathesis - Dilutional thrombocytopenia